Which among the following is not a cause of suspended animation?
1. Cholera
2. Sunstroke
3. Electrocution
4. Severe brain stem injury

Correct answer: 4. Severe brain stem injury

Explanation: Suspended animation (apparent death) - In this condition signs of life are not found, as they are interrupted temporarily or are reduced to a minimum. The causes include drowning, electrocution, cholera, anesthesia, shock, cerebral concussion, insanity etc. Here the patient can be resuscitated. Brain stem injury leads to irreversible unconsciousness and apnoea. It normally causes quick death. Ref: Textbook of Forensic Medicine and Toxicology by Narayan Reddy, Edition 21, Page - 113,126